Sunderland classification is used for ?
1. Nerve injury
2. Muscle injury
3. Tendon injury
4. Ligament injury

Correct answer: 1. Nerve injury

Explanation: Ans. is 'a' i.e., Nerve injury Sunderland is an extension of the seddon classification and includes 5 types of nerve injuries.